All except one is true regarding hyoid bone
1. Hyoid bone lies at level of 3rd cervical vertebra
2. It develops from 3rd  and 4rd  branchial arches
3. Fracture of hyoid bone strongly suggest strangulation
4. Lesser cornea provides attachment to stylohyoid ligament

Correct answer: 2. It develops from 3rd  and 4rd  branchial arches

Explanation: Hyoid bone develops from 2nd and 3rd branchial arches.